Ozurdex is-
1. 0.7% Dexamethasone
2. 0.7% Betamethasone
3. 0.3% Triamcinolone
4. 0.7% Triamcinolone

Correct answer: 1. 0.7% Dexamethasone

Explanation: Ans. is 'a' i.e., 0*7 % Dexamethasone Ozurdex is a dexamethasone implant in a concentration of 0.7 mg which is used for the treatment of macular edema due to central retinal vein occlusion. The standard care for CR VO used to be observation but now, the standard care is to watch the patient closely initially, but to use Ozurdex or an anti-VEGF. Earlier, macular edema is CRVO was treated with intravitreal steroid (triamcinolone) injections. This injection has been gradually replaced over past few years by anti VEGF injections and Ozurdex implants. Ozurdex is a slow release implant and continue to have effect for 3-6 months and hence is a good option for treating macular edema along with Anti VEGF injections. Ozurdex is a rod shaped implant which is placed inside the eye in the vitreous cavity. It contains the steroid dexamethasone in concentration of. 7mg which is slowly released into the eye. The implant is biodegradable. It slowly dissolves into the eye and does not need to be removed. Steroids have an antiinflammatory effect and block chemical pathways that lead to swelling or leakage from blood vessels. The implant continues to release the drug into the eye for 3-6 months and thus a long lasting effect compared to intravitreal steroid injection.